Gray hepatization of lungs is seen on the day -
1. 1
2. 3-Feb
3. 5-Mar
4. 7-May

Correct answer: 4. 7-May

Explanation: All 4 phases may be seen in different parts of the same lung

Congestion (1-2 days)
Red hepatization (2nd-4th day)
Gray hepatization (5th-8th day)
Resolution (8th-9th day)